Secondary deposits form prostatic carcinoma is commonest in
1. Bone
2. Lung
3. Liver
4. Brain

Correct answer: 1. Bone

Explanation: Secondary deposits form prostatic carcinoma is commonest in boneThe prostate is the most common site of origin for skeletal metastases, followed in turn by the breast, the kidney, the bronchus and the thyroid gland. The bones involved most frequently are the pelvic bones and the lower lumbar vertebrae. The femoral head, rib cage and skull are other common sites